In sequential order what are the three steps of PCR?
1. Anneal Primers, Extend DNA, Denature DNA
2. Denature DNA, Extend DNA, Anneal Primers
3. Denature DNA, Anneal Primers, Extend DNA
4. Extend DNA, Anneal Primers, Denature DNA

Correct answer: 3. Denature DNA, Anneal Primers, Extend DNA

Explanation: Ans. is 'c' i.e., Denature DNA, Anneal Primers, Extend DNA Steps in PCRIsolation of target DNA sequence|Primer Construction|Denaturation of DNA|Annealing of primers to single stranded DNA|Chain extension